The highest quantities of vitamin C is found in -
1. Orange
2. Lemon
3. Indian gooseberry
4. Grapes

Correct answer: 3. Indian gooseberry

Explanation: Amma contain 600mg/100g. Orange contain 30mg,Lemon 63mg.REF. PARK'S TEXTBOOK OF PREVENTIVE AND SOCIAL MEDICAL 21ST EDITION. PAGE NO - 621